Stem cells are taken from?
1. Skin
2. Bone marrow
3. Oral mucosa
4. Elementary tract

Correct answer: 2. Bone marrow

Explanation: ANSWER: (B) Bone marrowREF: Harrison s 18th ed ch: 65, 66, 67Stem cells are biological cells found in all multicellular organisms, that can divide (through mitosis) and differentiate into diverse specialized cell types and can self-renewT to produce more stem cellsThere are three accessible sources of autologous adult stem cells in humans:Bone marrow, which requires extraction by harvesting, that is, drilling into bone (typically the femur or iliac crest),Adipose tissue (lipid cells), which requires extraction by liposuction, andBlood, which requires extraction through pheresis, wherein blood is drawn from the donor (similar to a blood donation), passed through a machine that extracts the stem cells and returns other portions of the blood to the donor.Stem cells can also be taken from umbilical cord blood just after birth. Of all stem cell types, autologous harvesting involves the least risk. By definition, autologous cells are obtained from one's own body, just as one may bank his or her own blood for elective surgical procedures.